Cystatin C is a novel marker of
1. Vitamin K Status
2. Cholestasis
3. Fatty liver
4. Glomerular filtration

Correct answer: 4. Glomerular filtration